Height of child in 2-10 years of age is increased by -
1. 2 cm/year
2. 4 cm/year
3. 6 cm/year
4. 10 cm/year

Correct answer: 3. 6 cm/year

Explanation: O.P. Ghai 9th edition - page 14 After one year, the child gains about 6 cm in height every year, until the age of 12 years